Investigation of choice for entrapment neuropathy is -
1. CTSCAN
2. Clinicalexamination
3. Ulrasonography
4. EMGNCV

Correct answer: 4. EMGNCV

Explanation: Ans. is 'd' i.e., EMC NCV o The diagnosis of mononeuropathy in entrapment neuropathy is based on electrodiagnostic studies (EMG/ NCV) and Magnetic resonance imaging (MRI).o Entrapment neuropathy is a medical condition caused by entrapment and compression of a peripheral nerve wherever it traverses fibro-osseous tunnels,o Sites of entrapment neuropathy are : -Carpal tunnelMedian nerve (carpal tunnel syndrome)Cubital tunnel:- Ulnar nerve (cubital tunnel syndrome)Guy an s canalUlnar nerve (Guy an's canal syndrome)Tarsal tunnel:- Posterior tibial nerve (Tarsal tunnel syndrome)Inguinal ligament Lateral cutaneous nerve of thigh (meralgia paraesthetica).Suprascapular notch :- Suprascapular nerve Neck of fibula Common peroneal nerveFascial tunnel of superficial peroneal nerve Superficial peroneal nerve A reuse of Frohse Posterior interosseous syndromeThoracic outlet:- Lower trunk of brachial plexus Compression in the foot Digital nerve (Morten's metatarsalgia)